Morphine should not be used in:
1. Ischaemic pain
2. Biliary colic
3. Cancer pain
4. Post-operative pain

Correct answer: 2. Biliary colic

Explanation: Ans. B. Biliary colicOpioids have potent analgesic effect via mu, kappa receptor. They are known to increase the intrabilliary pressure by constricting the smooth muscle. Therefore, they are contraindicated in biliary colic.